Cyclin Dl/Ig H gene is associated with -
1. Mantle cell lymphoma
2. Hairly cell leukemia
3. Follicular lymphoma
4. Diffuse large B-cell lymphoma

Correct answer: 1. Mantle cell lymphoma

Explanation: Answer- A. Mantle cell lymphomaMantle cell lymphoma, a translocation has juxtaposed the llql3 band bearing cycline Dl gene with the IgH locus on chromosome 14 (11-14 translocation).